Anti inflamatory action of corticosteroids is due to blocking of
1. 15 lipoxygenase
2. Prostaglandin synthetase
3. Thromboxane synthetase
4. Breakdown of phospholipids

Correct answer: 4. Breakdown of phospholipids

Explanation: Breakdown of phospholipids cause the release of phospholipase A2 from the cell membrane Corticosteroid helps in induction of lipocortins in macrophages. Lipocortins inhibits phospholipase A2. This lead to decreased production of prostaglandins, Leukotriens.Thus pro inflammatory mediators are reduced. (REF.Essential of medical pharmacology K D TRIPATHI 6 Edition, Page No - 279)